Keratoderma blenorrhagica is seen in:
1. Ankylosing spondylitis
2. Gouty arthritis
3. Reactive arthritis
4. Psoriatic arthritis

Correct answer: 3. Reactive arthritis

Explanation: (Reactive arthritis): Ref: 1997 - H, 754-CMDT-09 (2114-H17th)Reactive arthritis: (Reiter's syndrome)Clinical triad: - Urethritis, conjunctivitis (less commonly uveitis), mucocutaneous lesions and aseptic arthrit is.* The characteristic skin lesions keratoderma blenorrhagica consist of vesicles that become hyperkeratotic, ultimately forming a crust before disappearing. They are most common on the palm and soles* Lesions on the glans penis, termed circinate balanitis are common